Fungal spores are produced
1. Singly
2. In chains
3. In sporangium
4. All of the above

Correct answer: 4. All of the above

Explanation: Singly borne spore - microconidia Spores in chain - ahrospores In sporangium - sporangiospores Reference: Textbook of Microbiology; Baveja; 4th edition